The most frequent cause of recurrent genital ulceration in a sexually active male is –
1. Herpes genitalis
2. Aphthous ulcer
3. Syphilis
4. Chancroid

Correct answer: 1. Herpes genitalis

Explanation: Most common cause of recurrent genital ulcer is HSV-2. Infact, the characteristic feature of Herpes genitalis is that it is recurrent.